What is the effect of administration of large doses of vitamin-K in a newborn?
1. Bulging of posterior fontanel
2. Hemolytic anemia
3. Convulsions
4. Hyperprothombinemia

Correct answer: 2. Hemolytic anemia

Explanation: Large doses of vitamin K causes hemolysis in G6PD deficiency and anemia, hyperbilirubinemia and kernicterus in newborn.